Which of the following is true about secular trend-
1. Road side accident is a good example
2. Due to environmental factors
3. Is due to normally occuring variation in herd immunity
4. Consistent change in a particular direction over a period of time

Correct answer: 4. Consistent change in a particular direction over a period of time

Explanation: The term secular trend implies changes in the occurrence of disease (i.e. Progressive increase or decrease)over a long period generally several years or decades (refer page no:66 park 23 rd edition.